NESTROF test is used in screening of -
1. Thalassemia
2. Autoimmune hemolytic anemia
3. Spherocytosis
4. G6PD deficiency

Correct answer: 1. Thalassemia